True statement regarding DeQuervain thyroiditis:
1. Low ESR
2. Infectious disorder
3. Increased radio-iodine uptake
4. Self limiting condition

Correct answer: 4. Self limiting condition

Explanation: Ans. D i.e. Self limiting condition DeQuervain's thyroiditis Due to viral infection, Increased ESR, Self limiting